Alderman Nerve is:
1. Nerve to Pterygoid
2. Nervus Intermedius
3. Auricular Branch of Vagus Nerve
4. Tympanic branch of Glossopharyngeal Nerve

Correct answer: 3. Auricular Branch of Vagus Nerve

Explanation: Ans. C. Auricular Branch of Vagus NerveThe auricular branch of the vagus nerve is often termed the Alderman's nerve or Arnold's nerve. The latter name is an eponym for Friedrich Arnold. It supplies sensory innervation to the skin of the ear canal, tragus, and auricle.